Which of the following is not a common side effect for ACE inhibitors and Angiotensin receptor blockers
1. Postural hypotension
2. Dry cough
3. Hyperkalemia
4. None of the above

Correct answer: 2. Dry cough

Explanation: Normally Bradykinin is Metabolized by Angiotensin converting enzyme and increased levels of Bradykinin is seen with after administration of ACE inhibitors, which leads to dry cough.
And it is not seen with APB's as they directly block the Angiotensin receptor, without inhibiting enzyme.